Epstein Barr (EB) virus has been implicated in the following malignancies except:
1. Hodgkin's disease
2. Non-hodgkin's lymphoma
3. Nasopharyngeal carcinoma
4. Multiple myeloma

Correct answer: 4. Multiple myeloma

Explanation: Ans. (d) Multiple myeloma